Galantamine is used in ?
1. Alzheimer's disease
2. Parkinson's disease
3. Emesis
4. Chorea

Correct answer: 1. Alzheimer's disease

Explanation: Ans. is 'a' i.e., Alzheimer's diseaes